Death in poliomyelitis is usually due to -
1. Hypertension
2. Respiratory Paralysis
3. Aspiration
4. Arrythmias

Correct answer: 2. Respiratory Paralysis

Explanation: Respiratory insufficiency can be lofe-threatening and is usuallythe cause of death in paralytic polio. Ref:PARK'S TEXTBOOK OF PREVENTIVE AND SOCIAL MEDICINE 23rd edition , Page 206